Diabetic retinopathy is treated by:
1. Strict glycemic control
2. Panphotococagulation
3. Antihypertensive
4. All

Correct answer: 4. All

Explanation: A i.e. Strict glycemic control; B i.e. Panphotocoagulation; C i.e. Antihypertensive Diabetic retinopathy is treated by - strict glycemic & hypertensive control, antioxidants, photocoagulation (pan retinal, focal argon laser or grid pattern laser burns), intravitreal steroids and anti-VGF (vascular endothelial growth factor)Q and continuous screening. LASIK is refractory surgery for high myopia and phacoemulsification is used for cataract surgery. General measures Strict control of blood glucose Q may delay the onset Control of hypertension Q when associated is essential Antioxidants Q are alsouseful for diabetics Aspirin- an antiplatelet factor has no role Pars plana vitrectomy is indicated for dense persistent vitreous hemorrhage, tractional retinal detachment and epiretinal membranes. Retinal detachment also requires surgery in DR. PDR= Proliferative Diabetic Retinopathy NPDR = Non-PDR Screening Yearly Till there is no-DR or there is mild NP-DR 6 monthly In moderate NPDR 3 monthly In severe NPDR 2 monthly In PDR with no high risk characteristic Pan retinal photocoagulation Focal argon laser burn Grid pattern laser burns * It consists of 1200-1600 spots, each 500 pm in It is applied to It is size and 0.1 sec duration individual applied in * It is applied 2-3 disc areas from the centre of microvascular macular macula extending peripherally to equator formations in the area for centre of hard diffuse * It is indicated in PDR (proliferative diabetic exudates' ring in focal macular retinopathy) with one of the high risk exudative edema characteristic maculopathy Photocoagulation